Association of cognitive learning
1. Knowledge
2. Attitudes
3. Skills
4. All of the above

Correct answer: 1. Knowledge